Mechanism of bone growth is by:
1. Bone deposition and resorption
2. Cortical drift
3. Displacement
4. All of the above

Correct answer: 4. All of the above